Simple cuboidal epithelium is seen in:
1. Skin
2. Trachea
3. Oesophagus
4. Thyroid gland

Correct answer: 4. Thyroid gland

Explanation: Other sites with the typical cuboidal epithelium are:Surface of ovaryChoroid plexusInner surface of lensPigment cell layer of retina